Absent lateral 1/3rd of clavicle is seen in -
1. Hyperparathyroidism
2. Turner's syndrome
3. Fibrous dysplasia
4. Cleidocranial dysostosis

Correct answer: 4. Cleidocranial dysostosis

Explanation: Cleidocranial dysostosis is a developmental affection of the skeleton in which there is deficient ossification of bones formed in the membrane.
The clavicle may be absent laterally, in its middle third, occasionally in its sternal third or very rarely in its entire length.